Which of the following statements about detrusor instability is false?
1. 50 % of men with bladder outflow obstruction have detrusor instability
2. Patients with neurogenic bladder may have detrusor instability
3. Genuine stress incontinence (GSI) is indistinguishable from detrusor instability
4. Urodynamic studies are essential for evaluation of detrusor instability

Correct answer: 3. Genuine stress incontinence (GSI) is indistinguishable from detrusor instability

Explanation: Detrusor instability (DI) Detrusor instability caused by neurologic diseases such as cerebrovascualr disease, multiple sclerosis, or spinal cord injury is called detrusor hyperreflexia. Irritation of the bladder by inflammation (such as urinary tract infection) or prior pelvic surgery can also cause detrusor instability. Motor Urge Incontinence Symptomatic presentation is similar to sensory urge incontinence Diagnosis is usually supported by urodynamic findings of detrusor constrictions Can be associated with bladder outlet obstruction in men from (BPH) or anatomic stress incontinence in women. Can be idiopathic Also referred to as Detrusor instability Idiopathic detrusor instability can mimic GSI and may coexist. But they are different conditions that can be properly diagnosed by urodynamic studies.